Which of the following is not used as a topical LA?
1. Procaine
2. Tetracaine
3. Lidocaine
4. Benzocaine

Correct answer: 1. Procaine